Molar ratio of Sodium and Glucose in WHO ORS is:
1. 1:01
2. 1:02
3. 1:04
4. 2:01

Correct answer: 1. 1:01

Explanation: a. 1:1(Ref: Approach to Practical Pediatrics 2nd ed by Narang Manish/pg 24)Molarity of sodium and glucose in ORS should be 1:1, which helps in the efficient transport of sodium and water.